Mallory bodies are derived from
1. Cytokeratin
2. Desmin
3. Laminin
4. Vementin

Correct answer: 1. Cytokeratin

Explanation: Mallory bodies Large, poorly defined accumulations of eosinophilic material in the cytoplasm of damaged hepatic cells in certain forms of cirrhosis and marked fatty change especially due to alcoholism. Derived from cytokeratin. Ref: guyton and hall textbook of medical physiology 12 edition page number: 420,421,422